Row of tombstones is seen in
1. Irritant dermatitis
2. Pemphigus Vulgaris
3. Bullous Pemphigoid
4. Paraneoplastic pemphigus

Correct answer: 2. Pemphigus Vulgaris

Explanation: row of tomb stones: it is a histopathological finding seen in pemphigus vulgaris in pemphigus vulgaris loss of coherence between keratinocytes leads to cleft and bullae in suprabasal zone. the basal cells remain attached to basement membrane but separated with each other producing a row of tomb stone appearence, characteristic of pemphigus vulgaris IADVL textbook of dermatology page 1099